Which of the following types of placenta complicates third stage of labour and is associated with a past history of caesarean section:
1. Placenta succenturita
2. Placenta extracholis
3. Placenta membranecae
4. Placenat accrete

Correct answer: 4. Placenat accrete

Explanation: Ans. D: Placenta accreta Most important risk factors for placenta accreta are the placenta praevia and prior caesarean delivery It complicates 3rd stage of labour (haemorrhage, shock, infection and rarely inversion of the uterus) Other types of placenta: Biscoidal placenta: Placenta have 2 discs Lobed placenta: Placenta divided into lobes Placenta succenturita: Small part of placenta separated from the rest Febestrated: Placenta having a hole in centre Circumvallate: Edge of placenta is covered by circular fold of decidualis